True about delusions is all except:
1. They are false belief, but firm.
2. It is primarily a disorder of perception
3. Not associated with intellectual background
4. It remains despite of contrary evidence

Correct answer: 2. It is primarily a disorder of perception

Explanation: DELUSION: Delusion is a false belief in something which is not a fact It persists even after its falsity has been clearly demonstrated. A normal person can have a delusion, but is capable of correcting it by his reasoning power, by his past experience and by being convinced by others. It is primarily a disorder of thought